Epidermal cyst is lined by:
1. Transitional epithelium
2. Stratified squamous epithelium
3. Columnar epithelium
4. Cuboidal epithelium

Correct answer: 2. Stratified squamous epithelium

Explanation: Ans: B i.e. Stratified squamous epithelium Epidermal cysts are lined with true stratified squamous epithelium derived from the inflindibulum of the hair follicle or traumatic inclusion.